RBC cast is seen in?
1. Minimal change disease
2. Renal vein thrombosis
3. Bladder schistomiasis
4. Rapidly progressive Glomerulo-nephritis

Correct answer: 4. Rapidly progressive Glomerulo-nephritis

Explanation: Ans. (d) Rapidly progressive Glomerulo-nephritisRef: Robbiris pathology 9th ed. /912-915* RBC casts are a feature of glomerular damage. Normally < 3 RBC/HPF are going to leak. But in case of glomerular damage the number of RBC in urine will exceed the limit mentioned above and these RBC get impinged on tamm- horsfall protein. The resultant RBC casts can be seen under microscopic examination of urine.* Bladder schistomiasis will cause hematuria and eosinophiluria.* Renal vein thrombosis is a complication of severe dehydration and causes a painful enlarged kidney with hematuria.* Minimal change disease is the most common cause of nephritic syndrome and causes proteinuria.Also knowDifferent Renal Casts and conditions where they are seen:* Hyaline cast: MC type; seen in normal individuals in dehydration or vigorous exercise * Muddy brown cast: seen in acute tubular necrosis* Waxy casts: nephritic syndrome* Fatty casts: pathognomonic for high urinary protein nephrotic syndrome.* White blood cell casts: pyelonephritis